Rosettes typically seen in Neuroblastoma are
1. Flexner Wintersteiner rosettes
2. Homer-wright rosettes
3. Perivascular rosettes
4. Neurocytic rosettes

Correct answer: 2. Homer-wright rosettes

Explanation: Flexner Wintersteiner rosettesRetinoblastomaHomer-wright rosettesNeuroblastoma, Medulloblastoma, PNETPerivascular rosettesEpendymona, Medulloblastoma, PNET, Central neurocytomaNeurocytic rosetteCentral neurocytomaRef: Robbins and Cotran Pathologic Basis of Disease; 9th edition